Ion required for exocytosis is -
1. Potassium
2. Sodium
3. Calcium
4. Magnesium

Correct answer: 3. Calcium

Explanation: (C) (Calcium) (4.8 Ganong 24th edition, 18 A.K. Jain 5th)Exocytosis is the Ca^ dependant process.Exocytosis: here-substances secreted by the cell are trapped within vesicles or granules which fuse with the cell membrane and release their contents to the ECF. This leaves the contents of the vesicles or granules outside the cell and cell membrane intact.It requires Ca++ and energy. Hormones, digestive enzymes and synaptic transmitters are examples of substances transported out of the cell by this process.Endocytosis: includes phagocytosis, pinocytosis, clathrin mediated endocytosis, caveolate-dependant uptakeand nonclathrin/noncaveolae endocytosis.